Which of the following is FALSE regarding mycobacterium?
1. Cell wall has high lipid content
2. Mycolic acids and LAM form waxy coat
3. Lack exotoxins or endotoxins
4. None of the above

Correct answer: 4. None of the above

Explanation: Of particular importance is the presence of long-chain fatty acids called mycolic acids (for which the mycobacteria are named) and lipoarabinomannan (LAM), a lipid polysaccharide complex extending from the plasma membrane to the surface. These elements give the mycobacteria a cell wall with unusually high lipid content (more than 60% of the total cell wall mass), which accounts for many of their biologic characteristics. It can be thought of as a waxy coat that makes them hardy, impenetrable, and hydrophobic. Mycobacteria do not produce classic exotoxins or endotoxins. Disease processes are thought to be the result of two related host responses: Delayed-type hypersensitivity (DTH) Cell-mediated immunity (CMI) Ref: Ray C.G., Ryan K.J. (2010). Chapter 27. Mycobacteria. In C.G. Ray, K.J. Ryan (Eds), Sherris Medical Microbiology, 5e.